Treponema is most difficult to isolate from?
1. Gumma
2. Chancre
3. Mucosal lesions
4. Macular rash

Correct answer: 1. Gumma

Explanation: Gumma REF: Jawetz, Melnick, & Adelberg's Medical Microbiology, 24T" edition Chapter 25 "Gumma is a lesion of tertiary syphilis, and treponemes are rare in tertiary lesions" In about 30% of cases, early syphilitic infection progresses spontaneously to complete cure without treatment. In another 30%, the untreated infection remains latent (principally evident by positive serologic tests). In the remainder, the disease progresses to the "tertiary stage," characterized by the development of granulomatous lesions (Gumma) in skin, bones, and liver; degenerative changes in the central nervous system (meningovascular syphilis, paresis, tabes); or cardiovascular lesions (aortitis, aortic aneurysm, aortic valve insufficiency). In all tertiary lesions, treponemes are very rare, and the exaggerated tissue response must be attributed to hypersensitivity to the organisms. However, treponemes can occasionally be found in the eye or central nervous system in late syphilis.